A patient with dengue haemorrhagic fever has got myalgia and spontaneous skin bleeds. Lab tests show thrombocytopenia and a raised hematocrit. What is the DHF grade of the disease in this patient?
1. Grade I
2. Grade II
3. Grade III
4. Grade IV

Correct answer: 2. Grade II

Explanation: Grading of DHF is as per the severity of shock and bleeding. Grade I - Fever with nonspecific constitutional symptom.Here the only haemorrhage manifestation is a +ve tourniquet test. Grade II - Grade I + spontaneous bleeding/hemorrhagic manifestation. Thrombocytopenia and hemo concentration is present. Grade III - The presence of circulatory failure, hypotension and restlessness. Grade IV - Profound shock with undetectable blood pressure and pulse. Ref: Park, Edition 21, Page 227